Northern blot technique is used in the detection of
1. Dna
2. Rna
3. plasmid
4. Priorin

Correct answer: 2. Rna

Explanation: Explanation: Southern Blotting: o Highly sensitive technique for identifying DNA fragments by DNA- DNA hybridization.
o This technique has very wide applications in DNA analysis. Northern Blotting: o Used for the analysis of RNA.
o Procedure is analogous to southern blotting, hence the name northern blotting.
o Here the RNA mixture is separated by gel electrophoresis, blotted and identified using labelled DNA or RNA probes. Western Blotting:
o A similar technique for the identification of proteins {antigens) is called immunoblotting {or, in conformity with other blotting techniques, western blotting).
o Here the protein antigen mixture is separated by SDS-PAGE (sodium dodecylsulfatepolyacrylamide gel electrophoresis),
blotted on to nitrocellulose strips and identified by radiolabeled or enzyme-labeled antibodies as probes. o E.g. Western blot test for detection of antibodies directed against different antigens of
HIV.